FDP muscle nerve supply is ?
1. Medial half by ulnar nerve
2. Medial half by median nerve
3. Lateral half by ulnar nerve
4. Lateral half by radial nerve

Correct answer: 1. Medial half by ulnar nerve

Explanation: Ans. is 'a' i.e., Medial half of ulnar nerve Flexor digitorum profundus has dual nerve supply :?Medial half by ulnar nerve.Lateral half by median nerve.